Which of the following is true about Colie's fracture?
1. Intra - articular fracture of distal radius with palmar displacement
2. Intra - articular fracture of distal radius with dorsal displacement
3. Extra - articular fracture of distal radius with palmar displacement
4. Extra - articular fracture of distal radius with dorsal displacement

Correct answer: 4. Extra - articular fracture of distal radius with dorsal displacement

Explanation: Ans. is 'd' i.e., Extra - articular fracture of distal radius with dorsal displacement * Code's fracture is an extra-articular fracture at the distal end of radius, at its cortico-cancellous junction with dorsal displacement.